All are seen in interstitial cystitis except:
1. Fever
2. Hematuria
3. Dysuria
4. Presence of linear bleeding ulcer in the fundus

Correct answer: 1. Fever

Explanation: Interstitial cystitis (Hunner's ulcer)- Characterized by Chronic Pancystitis- Infiltration of lymphocytes and macrophages- MC in females- Etiology is unknown- Presence of linear bleeding ulcer in the fundus (involving mucosa)Clinical features- Initial symptom - Increased frequency- Pain increased by distention of bladder & relieved by micturition- Bladder capacity is reduced to 30 - 50mlDiagnosis- On Cystoscopy - presence of linear bleeding ulcer in fundus- To rule out malignancy:* Urinary cytology* BiopsyTreatment- Difficult and unsatisfactory- Bladder distention under anesthesia- Instillation of dimethyl-sulphoxide into the bladder